In Foster-Kennedy syndrome there is
1. Ipsilateral disc edema, Contralateral optic atrophy
2. Ipsilateral optic atrophy, Contralateral disc edema
3. Ipsilateral disc edema and optic atrophy
4. Contralateral disc edema and optic atrophy

Correct answer: 2. Ipsilateral optic atrophy, Contralateral disc edema

Explanation: Foster-Kennedy syndrome. It is associated with olfactory or sphenoidal meningiomata and frontal lobe tumours. In this condition, there occurs pressure optic atrophy on the side of lesion and papilloedema on the other side (due to raised intracranial pressure). Pseudo-Foster-Kennedy syndrome. It is characterised by the occurrence of unilateral papilloedema associated with raised intracranial pressure (due to any cause) and a pre-existing optic atrophy (due to any cause) on the other side. REFER:Khurana 4e pg: 298